Which of the following is true regarding classical spontaneous bacterial peritonitis?
1. Ascitic fluid neutrophil count is > 250/cumm
2. Bowel perforation should be present
3. Multiple organisms are isolated from ascetic fluid
4. Board like rigidity is present in abdomen

Correct answer: 1. Ascitic fluid neutrophil count is > 250/cumm

Explanation: Features of Spontaneous bacterial peritonitis are:Spontaneous infection of ascitic fluid without an intra-abdominal sourceIf more than 2 organisms are identified, secondary bacterial peritonitis due to a perforated viscus should be consideredFluid sample has an absolute neutrophil count > 250/cummPatients present with fever, altered mental status, elevated white blood cell count, and abdominal pain or discomfort, or they may present without any of these features(Ref: Harrison's 18/e p1979)